Volume of orbit is-
1. 19ml
2. 29ml
3. 39ml
4. 49ml

Correct answer: 2. 29ml

Explanation: *Volume of orbit is 29ml. Ref:AK Khurana Anatomy and Physiology of eye 7th/e p.418